Super carrier of HBV shows following serum markers ?
1. HBsAg
2. HbsAg + HBV DNA
3. HbsAg + HBeAg + HBV DNA
4. Anti-HBsAg + HBV DNA

Correct answer: 3. HbsAg + HBeAg + HBV DNA

Explanation: Ans. is 'c' i.e., HbsAg + HBeAg + HBV DNA In HBV infection, there are two types of carriers : Super Carriers High titre of HBs Ag, HBe Ag, DNA polymerase and HBV in the circulation Highly infective Simple carriers Low titre of HBsAg with negative HBe Ag, DNA polymerase and HBV Have low infectivity